Unnatural sexual offences is/are - (
1. Sodomy
2. Adultery
3. Rape
4. Incest

Correct answer: 1. Sodomy

Explanation: Ref:Textbook of Forensic medicine and toxicology (V.V.Pillay) 17th edition, page no.404 As per sec.377IPC "Whoever voluntarily has carnal intercourse against the order of nature with any man, woman,or animal shall be punished with imprisonment for life, or with imprisonment of either description for a term which may extend to ten years, and shall also be libale to fine."this section covers all offence which have come to be clubbed under the trem"Unatural Sexual offences".examples are sodomy, buccal coitus, bestiality etc.